First in sequence
1. Impairment
2. Disease
3. Disability
4. Rehabilitation

Correct answer: 2. Disease

Explanation: Ans. b (Disease). (Ref. Park, PSM, 17th ed., 36)Concept of health and diseaseThe sequence of events leading to disability and handicap is: Disease -impairment -disability -handicap-rehabilitation.WHO definitions:ImpairmentAny loss or abnormality of psychological, physiological or anatomical structure of function.DisabilityAny restriction or lack of ability to perform an activity in manner or within range considered normal for human.HandicapA disadvantage for a given individual resulting from an impairment or disability that limits or prevents fulfillment of role that is normal for that individual.RehabilitationIt is intervention at the level of psychological, vocational and medical.